Ochronosis is due to chronic exposure to
1. Carbolic acid
2. Phosphorus
3. Mercury salts
4. Iodine fumes

Correct answer: 1. Carbolic acid

Explanation: (Refer: Rajesh Bardale - Principles of Forensic medicine & Toxicology, 1st edition, pg no: 440)
Carbolic aci